Diganosis of polio -
1. Detection of polio virus in stool
2. Serology
3. Limb wasting
4. AFP

Correct answer: 1. Detection of polio virus in stool

Explanation: As fecal excretion may be intermittent ,the best results are obtained by testing fecal samples collected on two seperate days as early in the illness as possible. REF:ANANTHANARAYAN AND PANIKER'S TEXTBOOK OF MICROBIOLOGY 9TH EDITION PAGE NO:487